Measles vaccination to all 9 months - 14 years children is a part of which WHO strategy?
1. Mop up
2. Catch up
3. Keep up
4. Follow up

Correct answer: 2. Catch up

Explanation: Catch up. Park's textbook of preventive and social medicine,K.Park,23rd edition,page no:148-149.